What is false regarding Gastroschisis & omphalocele:
1. Intestinal obstruction is common in gastroschisis
2. Gastroschisis is associated with multiple anamolies
3. Umbilical cord is attached in normal position in gastroschisis
4. Liver is the content of omphalocele

Correct answer: 2. Gastroschisis is associated with multiple anamolies

Explanation: B. i.e. Gastroschisis is associated with multiple anomaliesIn contrast to omphalocele, the incidence of associated anomalies in gastroschisis is relatively infrequentQ. Intestinal atresia causing intestinal obstruction is only associated anomaly with gastroschisisQ